Maximum refraction occurs at
1. Anterior surface of cornea
2. Anterior surface of lens
3. Posterior surface of cornea
4. Posterior surface of lens

Correct answer: 1. Anterior surface of cornea

Explanation: Ans. a (Anterior surface of cornea) (Ref: A K Khurana, 2nd/pg. 50, and Basak's Ophthalmology 2nd/pg. 4)Refractive mediumRefractive indexCornea1.38Aqueous humor1.33Lens1.4Vitreous humor1.34Air1Maximum refraction occurs at anterior surface of cornea because:1. Anterior surface of cornea has greater curvature and2. There is greater difference between refractive indices of air and cornea.Refractive surfaceRefractive PowerAnterior surface of cornea+48DPosterior Surface of cornea-4DLens of eye (Vivo)+15DLens of eye (taken out)+150D